Advantages of amoxicillin over ampicillin are all except ?
1. Better bioavailability & faster action
2. Spectrum includes H. influenzae & Shigella
3. Incidence of diarrhea is lower
4. Food does not interfere with its absorption

Correct answer: 2. Spectrum includes H. influenzae & Shigella

Explanation: Ans. is 'b' i.e., Spectrum includes H. influenzae & Shigella Amoxicillin is a close congener of ampicillin; similar to it in all respects except : Oral absorption is better; food does not interfere with absorption; higher and more sustained blood levels are produced. Incidence of diarrhea is lower. It is less active against Shigella and H. influenzae. It is now preferred over ampicillin for bronchitis, urinary infections, SABE andgonorrhoea.